Chronic constipation in children is seen in all A/E?
1. Hirschspring disease
2. Jejunal polyp
3. Hypothyroidism
4. Stricture

Correct answer: 2. Jejunal polyp

Explanation: Ans. is 'b' i.e., Jejunal polyp